Most common complication of blood transfusion leading to death?
1. Hyperkalemia
2. Citrate toxicity
3. T.R.A.L.I
4. Hypothermia

Correct answer: 3. T.R.A.L.I

Explanation: T.R.A.L.I (Transfusion Related Acute Lung Injury) - Most common complication of blood transfusion leading to death is T.R.A.L.I Cytokine released due to antigenic difference | Damage to microvasculature of lungs | T.R.A.L.I | Death